CO2 is primarily transported in the arterial blood as
1. Dissolved CO2.
2. Carbonic Acid.
3. Carbamino-hemoglobin.
4. Bicarbonate

Correct answer: 4. Bicarbonate

Explanation: D i.e. Bicarbonate Transport of CO2 in the form of bicarbonate ions accounts for approximately 70% of transported carbon dioxide from the tissues to lungs Q. So CO2 is transported as plasma HCO3 - > RBC > HCO3- > Carbamino compound > dissolved CO2 Q &Transport of Carbon Dioxide Carbon dioxide is transported in the blood as: HCO3- (70%) > carbamino compounds (23%) > dissolved CO2 (7%) Chloride Shift/ Hamburger Phenomenon When the negatively charged (HCO3-) bicarbonate ions move out of red blood cell into the plasma, to maintain the electrolytic equilibrium the negatively charged chloride ions move into the Red blood Cells from plasma (In plasma plenty of sodium chloride is present). This process is mediated by band 3 membrane protein Chloride shift occurs in: 1 secondQ Hematocrit of venous blood is: greater (by 3%)than that of arterial bloodQ PH of venous blood (7.36) is lower than that of arterial blood (7.40)Q * For each CO2 molecule added to RBC there is increase in one osmotically active particle in cell either HCO3- or CI-. So RBC take up water & swell. For this reason plus a fact that some arterial fluid returns lymphatics rather than the veins, the hematocrit of venous blood is 3% greater than arterial bloodQ. Amount of 02 enters the body/min = 250 inVininQ Amount of CO2 excreted by lung/ min = 200 inVininQ (288 L/day)Q * CO2 is 20 times more soluble than 02